Investigation of Choice post datism?
1. USG
2. Xray
3. Amniocentesis
4. Spectrophotometry

Correct answer: 1. USG

Explanation: ANSWER: (A) USGREF: Dutta 6th edp. 319Post dated pregnancy: (> 2weeks beyond the expected date of delivery (gestational age > 294 days)Etiology:Wrong dates : most commonHereditaryPrimi, sedentary habit, previous prolonged pregnancy, elderly multiparaFetal congenital anomalies like anencephalyPlacental sulphatase deficiencyClinical diagnosis:Menstrual historyWeight recordAbdominal girthHeight of uterus , uterus feels full of fetus , hard bones of fetusRipe cervixInvestigations:Assessment of fetal maturity:[?] USG: it is the investigation of choice[?] FL, CRL, BPD are measured and composite biometry done[?] Amniocentesis is invasive, and has been replaced by USG.Assessment of well being:[?] Modified biophysical profile[?] Absence of umbilical artery end diastolic frequency indicates fetal jeopardy.